Histopathological findings in Whipple's disease include all of the following, except:
1. Marked increase in the number of macrophages in the mucosa
2. Marked increase in the number of intraepethelial lymphocytes
3. Dilatation of Lymphatics in the mucosa
4. Lipid deposition in the mucosa

Correct answer: 2. Marked increase in the number of intraepethelial lymphocytes

Explanation: The intraepithelial lymphocytes are usually, either decreased in number or normal. So marked increase in the number of intraepithelial lymphocytes is the single best answer of choice by exclusion. Ref: Davidson's Principles and Practice of Medicine, 19th Edition, Pages 795-96